All constitutes Berlin definition of acute respiratory distress syndrome :-except
1. A known clinical insult within 1 week
2. Bilateral opacities in chest - x ray
3. Respiratory failure not fully explained by cardiac failure or fluid overload
4. Pulmonary artery end diastolic pressure less than 18 mm ng

Correct answer: 4. Pulmonary artery end diastolic pressure less than 18 mm ng

Explanation: Berlin definition of acute respiratory distress syndrome comprises-- Timing - within 1 week of known clinical insult Chest imaging - Bilateral opacities - not fully explained by effusions collapse Origin of edema - Respiratory failure not fully explained by cardiac failure or fluid overload. Oxygenation Mild - 200<PaO2 / FiO2 < 300 with PEEP or CPAP > 5cm H2O Moderate - 100 < PaO2 / FiO2 < 200 with PEEEP > 5 cm H2O Severe - PaO2 / FiO2 <100 with PEEP > 5 cm H2O